The enzyme level used for evaluation of myopathies is-
1. Gamma glutamyl transferase (GGT)
2. Creatine kinase
3. Lactic dehydrogenase (LDH)
4. Alanine amino transferase (ALT)

Correct answer: 2. Creatine kinase